On giving a patient insulin, which of the following is expected to occur first?
1. Increased transport of K+ into adipocytes
2. Stimulation of protein synthesis
3. Activation of glycolysis
4. Increase in mRNA for lipolysis

Correct answer: 1. Increased transport of K+ into adipocytes

Explanation: Increased transport of K+ into adipocytes will occur first onn giving an injection of insulin. Based onn time on onset, actions of insulin are classified as: Rapid(seconds): Increased permeability, leading to : Increased transport of glucose, aminoacids, and K+ into insulin sensitive cells. Intermediate(minutes): Changes in activity levels of intracellular enzymes, leading to: Stimulation of protein synthesis Inhibition of proteinn degradation Activation of glycolytic enzymes and glycogen synthase Innhibition of phophorylase and glucogenic enzymes. Delayed (Hours to days): Changed rates of transcription for DNA, leading to: Increased in mRNAs for lipogenic and other enzymes. Ref: Guyton and Hall 13th edition Pgno: 985